Senile ptosis is:
1. Neurogenic
2. Myogenic
3. Aponeurotic
4. Mechanical

Correct answer: 3. Aponeurotic

Explanation: Ans/. Aponeurotic